Fungicidal drug used orally for treatment of onychomycosis
1. Amphotericin B
2. Clotrimozale
3. Terbinafate
4. Gresiofulvin

Correct answer: 3. Terbinafate

Explanation: Onychomycosis is a fungal infection of the nail causing yellow discoloration of the nail usually caused by a dermatophyte .Among the given drugs only terbinafine given orally. AMB given iv or lipososmal form. Ref:KDT 6/e 765